A 30 year old manic patient was prescribed haloperidol 3 months back. For last two days, he has become restless and kept pacing in the room for a day. On examination he was found to have tremors of hand. He is most likely to be suffering from:
1. Anhedonia
2. Dystonia
3. Restless leg syndrome
4. Akathisia

Correct answer: 4. Akathisia